'Puff-balls' opacities in the vitreous are pathognomonic of:
1. Fungal endophthalmitis
2. Pars planitis
3. Exudative retinopathy of Coats
4. Sympathetic ophthalmitis

Correct answer: 1. Fungal endophthalmitis

Explanation: Ans. Fungal endophthalmitis